Effects of d-tubocurarine are reversed by?
1. Atropine
2. Neostigmine
3. Succinylcholine
4. Barbiturates

Correct answer: 2. Neostigmine

Explanation: Ans. is 'b' i.e., Neostagmine * d-tubocurarine is a non-depolarizing blocker. For reversal of non-depolarizing blocker, anticholinesterases are used. They increase the concentration of Ach by inhibiting its degradation by cholinesterase.* Most commonly neostigmine is used. Other drugs are edrophonium, Pyridostigmine, Physiostigmine.* Atropine is given to prevent muscarinic side effects of neostigmine (it does not cause reversal).Remember* Neostigmine does not antagonise depolarising blockers (Therefore cannot be used for reversal). Infact neostigmine can potentiate the block as neostigmine and other anti- cholinesterase also inhibits pseudocholinesterase which metabolizes Sch.